Adductor canal lies beneath the
1. Adductor longus
2. Adductor magnus
3. Sartorius
4. Vastus medialis

Correct answer: 3. Sartorius

Explanation: ADDUCTOR CANAL:- Also known as Hunter's or subsartorial canal. It is an intermuscular space situated on the medial side of the middle one-third of the thigh. Extend -from apex of femoral triangle above to the tendinous opening in adductor Magnus below. Shape:- Triangular on cross section. Boundaries:--Anterolateral wall: vastus medialis.-Posteromedial wall/Floor:Adductor longus above and adductor Magnus below.-Medial wall/Roof: strong fibrous membrane joining Anterolateral and posteromedial walls. Roof overlapped by Sartorius. Subsartorial plexus of nerves lies on the fibrous roof of the canal under sartorius. Plexus is formed by branches from the medial cutaneous nerve of thigh, the saphenous nerve and the anterior division of the obturator nerve. It supplies skin over fascia lata and neighboring skin. Contents:-1. Femoral artery: enters the canal at the apex of the femoral triangle. Within the canal, it gives off muscular branches and descending genicular branch. It leaves the canal through opening in adductor Magnus to continue as popliteal artery.2. Femoral vein lies posterior to femoral artery( upperclassmen part) and lateral to the artery ( lower part).3. Saphenous nerve: cross the femoral artery anteriorly from lateral to medial side.4. Nerve to vastus medialis 5. Branches of two divisions of obturator nerve: Anterior division emerges at the lower border of adductor longus, gives branches to subsartorial plexus and ends by supplying femoral artery. Posterior division of the obturator nerve runs on anterior surface of adductor magus and ends by supplying knee joint. {Reference: BDC 6Epg no.56}